Brown's sign is seen In
1. Glomus tumour
2. Meniere's disease
3. Acoustic neuroma
4. Otosclerosis

Correct answer: 1. Glomus tumour

Explanation: Brown's sign, also called pulsation sign, is seen in glomus tumour. When pressure is raised in the ear canal with a Siegel's speculum, tumour first pulsates vigorously and then blanches; reverse occurs when pressure is released.